Vitamin C is present in largest amount in body in
1. Eye
2. Kidney
3. Testis
4. Adrenal cortex

Correct answer: 4. Adrenal cortex

Explanation: Reference: Harpers illustrated biochemistry 30th edition